Dalen Fuch lesion is seen in:
1. Purulent keratitis
2. Epidemic keratoconjunctivitis
3. Retinoblastoma
4. Sympathetic ophthalmitis

Correct answer: 4. Sympathetic ophthalmitis

Explanation: Ans. Sympathetic ophthalmitis